Artery in anatomical snuffbox is
1. Radial
2. Brachial
3. Ulnar
4. Interosseous

Correct answer: 1. Radial

Explanation: Radial nerve along with superficial branch of radial nerve and cephalic vein are the contents of anatomical snuff box.Brachial artery passes from medial side of arm to its anterior aspect.Ulnar artery passes over the flexor retinaculum in the forearm.B D Chaurasia 7th edition Page no: 136